Which of the following is a tumour maker for CA Colon?
1. CEA
2. AFP
3. Acidphosphatase
4. Neuron specificenolase

Correct answer: 1. CEA

Explanation: Ans. is 'a' i.e., CEA Tumour MarkersTumor MarkersCancerNon-Neoplastic ConditonsHormones Human chorionic gonadotropinGestational trophoblastic disease, gonadal germ cell tumorPregnancyCalcitoninCatecholaminesMedullary cancer of the thyroid Pheochromocytoma Oncofetal antigens AlphafetoproteinHeptaocellular carcinoma, gonadal germ cell tumorCirrhosis, hepatitisCarcinoembryonic antigenAdenocarcinomas of the colon, pancreas, lung, breast, ovaryPancreatitis, hepatitis, inflammatory bowel disease, smokingEnzymes Prostate acid phosphataseProstate cancerProstatitis, prostatic hypertrophyNeuron -specific enolaseSmall cell cancer of the lung, Neuroblastoma Lactate dehydrogenaseLymphoma, Ewing's sarcomaHepatitis, hemolytic anemia many othersTumor-Associated Proteins Prostate -specific antigenProstate CancerProstatitis, Prostatic hypertrophyMonoclonal Immunoglobulin (2 microglobulin)MyelomaInfection, MGUSCA-125Ovarian cancer, some lymphomasMenstruation, peritonitis, pregnancyCA 19-9Colon, pancreatic, breast cancerPancreatitis, ulcerative colitisCD30Hodgkin's disease, anaplastic large cell lymphoma--CD25Hairy cell leukemia, adult T cell leukemia/ lymphoma--